Infection of ulnar bursa is diagnosed by -
1. Kanavel's sign
2. Chowstek's sign
3. Gower's sign
4. Ludloff's sign

Correct answer: 1. Kanavel's sign

Explanation: The area of maximum tenderness in an ulnar bursa infection can be elicited over that part of the bursa lying between the transverse palmar creases. This is KANAVEL' s sign. REF:Essential orthopaedics- Maheshwari- 9th edn - pg no 209.